FNAC is least diagnostic in which thyroid carcinoma-
1. Anaplastic
2. Papillary
3. Follicular
4. Thyroiditis

Correct answer: 3. Follicular

Explanation: Ans. is 'c' i.e., Follicular Ca o FNAC is the best investigation for the diagnosis of all thyroid carcinomas except follicular carcinoma. o It cannot differentiate b/w follicular carcinoma and follicular adenoma. The definitive diagnosis of carcinoma is made when capsular and vascular invasion by the carcinoma is revealed.